Bacteria in plaque are held together by
1. Hydrophobic forces
2. Covalent bonds
3. Vander waal's forces
4. All of the above

Correct answer: 4. All of the above